All of the following results in detoxification of drugs EXCEPT:
1. NADPH cytochrome P450 reductase
2. Cytochrome P450
3. Cytochrome oxidase
4. Monooxygenase

Correct answer: 3. Cytochrome oxidase

Explanation: Oxidative reactions are mostly carried out by a group of monooxygenases in the liver, which in the final step involve a cytochrome P-450 hemoprotein, NADPH, cytochrome P-450 reductase More than 100 cytochrome P450 isoenzymes differing in their affinity for various substrates (drugs), have been identified cytochrome oxidase is involved in the respiratory electron transport chain, not drug metabolism KD Tripathi Essentials of medical pharmacology -7th edition; pg no-23